Which of the following closely mimics testicular malignancy -
1. Hydrocele
2. Haematocele
3. Spermatocele
4. Cyst of epididymis

Correct answer: 2. Haematocele